Which of the following pulmonary symptoms dont have the corresponding not pulmonary association?
1. Cyanosis.Anxiety
2. Wheezing-CHF
3. Tachypnoea-Acidosis
4. Chest pain-pericarditis

Correct answer: 1. Cyanosis.Anxiety

Explanation: Cyanosis is the bluish or purplish discolouration of the skin or mucous membranes due to the tissues near the skin surface having low oxygen saturation. Based on Lundsgaard and Van Slyke's work,it is classically described as occurring if 5.0 g/dL of deoxyhemoglobin or greater is present. This was based on an estimate of capillary saturation based on a mean of arterial versus peripheral venous blood gas measurements. Since estimation of hypoxia is usually now based either on arterial blood gas measurement or pulse oximetry, this is probably an overestimate, with evidence that levels of 2.0 g/dL of deoxyhemoglobin may reliably produce cyanosis. Since, however, the presence of cyanosis is dependent upon there being an absolute quantity of deoxyhemoglobin, the bluish color is more readily apparent in those with high hemoglobin counts than it is with those with anemia. Also, the bluer the color, the more difficult it is to detect on deeply pigmented skin. When signs of cyanosis first appear, such as on the lips or fingers, intervention should be made within 3-5 minutes because a severe hypoxia or severe circulatory failure may have induced the cyanosis Approach to diagnosis: Inquire about duration (cyanosis since birth suggests congenital heart disease) and exposures (drugs or chemicals that result in abnormal hemoglobins). Differentiate central from peripheral cyanosis. Check for nail clubbing: Combination of clubbing and cyanosis suggests congenital heart disease and occasionally pulmonary disease. If cyanosis is localized to an extremity, evaluate for peripheral vascular obstruction. Evaluate abnormal hemoglobins by hemoglobin electrophoresis, spectroscopy and measurement of methemoglobin level Ref : Harrisons 20th edition pg 1436